Migratory necrolytic erythema is usually seen in:
1. Insulinoma
2. Somatostatinoma
3. Bronchogenic carcinoma
4. Glucagonoma

Correct answer: 4. Glucagonoma

Explanation: The characteristic rash usually starts as an annular erythema at intertriginous and periorificial sites. The glucagonoma is clinically heralded by a characteristic dermatitis called migratory necrolytic erythema in 67-90% patients. Reference: Harrisons Principles of Internal Medicine, 18th Edition, Page 3067